Which passive movement causes pain in deep posterior compartment syndrome ?
1. Foot abduction
2. Dorsi flexion of foot
3. Plantar flexion of foot
4. Foot adduction

Correct answer: 2. Dorsi flexion of foot

Explanation: Passive stretching of the muscles produce pain in compartment syndrome and hence, dorsiflexion of foot (a) causes pain. Posterior compartment of leg is concerned with plantar flexion of foot, and is supplied by the tibial nerve and posterior tibial vessels. Compartment syndrome is caused by increased pressure in an enclosed space that leads to compromise of circulation and function of tissues in that space. a. There is elevation of interstitial pressure in closed fascial compartment that results in microvascular compromise. b. As duration & magnitude of interstitial pressure increase, myoneural function is impaired & necrosis of soft tissues eventually develops. Pain with passive stretching is the most sensitive early sign of compartment syndrome. a. Patient will usually hold injured part in a position of plantar-flexion to maximally relax the fascia/muscles and reduce pain. b. For e.g., Clawing of the toes is a common sequela of post-traumatic compartment syndrome within the deep posterior compartment following a distal third tibia fracture. Fasciotomy is one of the definitive treatments of the syndrome. Ref - CSDT 12th e p1123